What is the most likely cardiac lesion in a young adult who complains of headache, dizziness and intermittent claudication with exercise?
1. TOF
2. ASD
3. PDA
4. Coarctation of aorta

Correct answer: 4. Coarctation of aorta

Explanation: The symptoms relating to this patient are suggestive of Coarctation of aorta. i.e; Intermittent claudication, dizziness and headache. Ref: Clinical Echocardiography By Michael.Y.Henein, Mary Sheppard, Page 227 ; Harrison's Internal Medicine, 18th Edition, Page 1925